Chain of lakes appearance in ERCP is seen is –
1. Acute pancreatitis
2. Chronic pancreatitis
3. Carcinoma pancreas
4. Ductal adenoma

Correct answer: 2. Chronic pancreatitis

Explanation: Chain of lakes or string of pearls appearance is seen in chronic pancreatitis.